Which of the following present similar to unruptured ectopic pregnancy
1. Follicular cyst of ovary
2. Corpus luteum cyst
3. Polycystic ovary disease
4. Ovarian torsion

Correct answer: 2. Corpus luteum cyst

Explanation: Halban's classical traid:

Delay in normal period followed by spotting
Unilateral pelvic pain 
Small Tender adnexal mass.

This triad is similar to that seen in classic ectopic pregnancy.